Auspitz sign is seen in ?
1. Psoriasis
2. Lichen Planus
3. Vitiligo
4. Contact dermatitis

Correct answer: 1. Psoriasis

Explanation: Ans. is 'a' i.e., Psoriasis See explanation- 5 of session- 5 of Skin of All India 2014-15 pattern of this book.